A patient comes with rectal carcinoma situated 6 cm above dentate line with no nodal metastasis. Treatment of choice will be:
1. Anterior resection
2. APR
3. Radiotherapy
4. Hartmann's procedure

Correct answer: 1. Anterior resection

Explanation: "In this patient the tumor lies 6 cms above the dentate line (the lower limit is taken into consideration). So the adequate margin is available for a colorectal anastomosis, hence a LAR procedure can be done" Ref: Sabiston 18/e, Page 1413; Schwartz 9/e, Page 1028; CSDT 13/e, Page 664; Devita's Oncology 8/e, Page Chapter 3, Section 13.